Diagnostic test for group A streptococcal 
erythroderma is
1. Bile solubility test
2. Catalase test
3. Optochin sensitivity
4. Bacitracin sensitivity

Correct answer: 4. Bacitracin sensitivity